Sacral canal contains all EXCEPT
1. Cauda equine
2. Filum terminale
3. Spinal meniges
4. Ligament denticulatum

Correct answer: 4. Ligament denticulatum

Explanation: (Ligamentum denticulatum): (189-BDC-2 6th edition) Pia mattes of the spinal cord is thickened on either side between the nerve roots to form the ligamentum denticulatum. SACRAL CANAL contains i. Cauda equina ii. Filum terminale iii. Spinal meninges * The sub dural and sub arachnoid spaces ends at the leval of S2 vertebra Structures on the ala of sacram from lateral to medial sides - OILS O - Obturator nerve I - Iliolumber artery L - Lumbosacral trunk S - Sympathetic chain